Carotid baroreceptors:
1. Are important in the rapid, short term regulation of arterial blood pressure
2. Do not fire until a pressure of approximately 100 mm Hg is reached
3. Adapt over 1 to 2 weeks to the prevailing mean arterial pressure
4. Stretch reflexively decreases cerebral blood flow

Correct answer: 1. Are important in the rapid, short term regulation of arterial blood pressure

Explanation: Ans. A. Are important in the rapid, short term regulation of arterial blood pressureThe function of these baroreceptors is the rapid short-term regulation of arterial blood pressure. The receptors start firing at a pressure of approximately 40 mm Hg. They completely adapt over 1 to 2 days, not weeks. In general, changes in baroreceptor activity have little effect on cerebral blood flow. The sympathetic activity following a fall in blood pressure results in increased heart rate and contractility, which raises myocardial metabolism and coronary blood flow,